Incidence of most common malignant tumours in women is
1. Breast
2. Lung
3. Cervix
4. Ovary

Correct answer: 1. Breast